Blue hypostasis is seen in poisoning due to -
1. H2S
2. Phosphorus
3. CO
4. Organophosphorus compounds

Correct answer: 1. H2S